Which of the following is used to treat Laron's dwarfism
1. Sermorelin
2. Tesamorelin
3. Mecasermin
4. Ganirelix

Correct answer: 3. Mecasermin

Explanation: Mecasermin is IGF - 1 analogue used to treat Laron dwartism. Laron syndrome is characterized by mutation of growth hormore receptor and hence growth hormone analogues can not be used.